Adverse effects of phenytoin include all of the following except?
1. Lymphadenopathy
2. Ataxia
3. Hypercalcemia
4. Hirsutism

Correct answer: 3. Hypercalcemia

Explanation: Ans. is 'c' i.e., Hypercalcemia Phenytoin interferes with calcium metabolism by desensitizing target tissue to vit. D, this causes hypocalcemia (not hypercalcemia).